Which of the following decreases during pregnancy?
1. Systemic venous resistance
2. CO
3. HR
4. Plasma volume

Correct answer: 1. Systemic venous resistance

Explanation: Ans. A. Systemic venous resistanceChanges during pregnancy:* Increased in cardiac output* Increase in HR* Increase in plasma volume* Decrease in SVR by (-21%) due to smooth muscle relaxing effect of progesterone, NO, prostaglandins or ANP.* In spite of the large increase in cardiac output, the maternal BP (BP=COxSVR) is decreased due to decrease in SVR. There is overall decrease in diastolic blood pressure (BP) and mean arterial pressure (MAP) by 5-10mmHg